The maximum hours of work per week prescribed under the Factories Act is -
1. 42
2. 48
3. 54
4. 60

Correct answer: 2. 48

Explanation: As per factories Act, a maximum of 48 hours per week, not exceeding 9 hours per day. (REF. PARK'S TEXTBOOK OF PREVENTIVE AND SOCIAL MEDICAL 21ST EDITION. PAGE NO - 756)